Nipple inversion occurs due to involvement of?
1. Cooper's ligament
2. Subareolar duct
3. Parenchyma of breast
4. Subdermal lymphatics

Correct answer: 2. Subareolar duct

Explanation: Answer- B. Subareolar ductInversion ofnipple is due to fibrosis in and around subareolar duct.